A gravida 2 with 1 normal live birth has presented to the clinic with transverse lie at 36 weeks. What should be the NEXT STEP of management in this patient?
1. External cephalic version
2. Internal cephalic version
3. Cesarean section
4. Wait and watch

Correct answer: 1. External cephalic version

Explanation: In patients with transverse lie, external cephalic version should be done in all cases beyond 35 weeks of gestation if there are no contraindications. If external version fails, patient should be admitted at 37th week because of risk of rupture of the membranes and cord prolapse. Elective caesarean section is the preferred method of delivery. If external version fails, vaginal delivery is allowed in a dead or congenitally malformed fetus. Transverse lie is said to be present when the long axis of the fetus lies perpendicular to the maternal spine or centralised uterine axis. Ref: Textbook of Obstetrics By D.C Dutta, 6th edn, page 397.